Constituents of Rotator cuffincludes all EXCEPT?
1. Teres major
2. Teres minor
3. Supraspinatus
4. Infraspinatus

Correct answer: 1. Teres major

Explanation: Ans.is 'a' i.e., Teres majorEach one of these muscles is part of the rotator cuff and plays an important role:Supraspinatus. This holds your humerus in place and keeps your upper arm stable. And helps lift your arm.Infraspinatus. This is the main muscle that lets you rotate and extend your shoulder.Teres Minor. This is the smallest rotator cuff muscle. Its main job is to assist with rotation of the arm away from the body.Subscapularis. This holds your upper arm bone to your shoulder blade and helps you rotate your arm, hold it straight out and lower it.